Which drug can be given subdermally -
1. Nicotine
2. Fentanyl
3. GTN
4. Progesterone

Correct answer: 4. Progesterone

Explanation: Ans. is 'd' i.e., Progesterone [ style="font-size: 1.04761904761905em; font-family: Times New Roman, Times, serif; margin: 0 0 8pt 8px; text-indent: 0; text-align: left">o Progesterone can be given in the form of subdermal implant.o Subdermal contraceptive implants involve the delivery of a steroid progestin from polymer capsules or rods placed under the skin.o The hormone diffuses out slowly at a stable rate, providing contraceptive effectiveness for 1-5 years,o The period of protection depends upon the specific progestin and the type of polymer.o Advantages of progestin implants include long term contraceptive action without requiring the user's or provider's attention, low dose of highly effective contraception without the use of estrogen, and fertility is readily reversible after the removal of implants.o The levonorgestrel implant Norplant R system is the only one that has been approved for distribution,o The contraceptive efficacy of Norplant is the highest observed amongst the most effective methods with an annual pregnancy rate of 0[?]2 during the first and second year and 1[?]1 on the fifth year. Menstrual problems are the mainreason for the discontinuation of Norplant and 9% of women stopped using it during the first year of treatment.